Parafollicular 'C' cells develop from:
1. Parafollicular 'C' cells develop from:
2. Second branchial cleft
3. Ultimobranchial body
4. Third branchial pouch

Correct answer: 3. Ultimobranchial body

Explanation: C. i.e. Ultimobronchial body